Macrophages in GIT which samples the antigen to peyer's pathes are
1. Microfold cells
2. G cells
3. Langerhans cells
4. T cells

Correct answer: 1. Microfold cells

Explanation: Microfold cells or M cells presents antigen to peyer's patches, where they activate native T cells.